In chronic alcoholism which of the following is seen
1. Delirium tremens
2. Wernike's syndrome
3. Korsakoff psychosis
4. All of the above

Correct answer: 4. All of the above

Explanation: D i.e. All